Beck's triad is?
1. Increased heart sound, distended neck veins, hypotension
2. Increased heart sound, distended neck veins, hypertension
3. Muffled heart sound, distended neck veins, hypotension
4. Muffled heart sound, distended neck veins, hypertension

Correct answer: 3. Muffled heart sound, distended neck veins, hypotension

Explanation: Ans. is 'c' i.e., Muffled heart sound, distended neck veins, hypotension Beck s triad is a feature of cardiac tamponadeBeck's triad of cardiac tamponade consists of:o Hypotensiono Soft or absent heart soundso Jugular venous distension